Fibrous ankylosis is caused by which of the following:
1. Septic arthritis
2. TB arthritis
3. Bechet's disease
4. Psoriatic arthritis

Correct answer: 2. TB arthritis

Explanation: Ans. B: TB Arthritis